Heparin does not cause :
1. Osteoporosis
2. Factor V inhibition
3. Thrombocytopenia
4. Prolongation of aPTT

Correct answer: 2. Factor V inhibition